DOT's indicates
1. Short term treatment under supervision
2. Short term treatment without
3. Long term treatment with supervision
4. Long tenn treatment with supervision

Correct answer: 1. Short term treatment under supervision